The drug of choice in treatment of infantile spasms is :
1. ACTH
2. Phenobarbitone
3. Carbamazepine
4. Phenytoin

Correct answer: 1. ACTH